Best antagonist of Morphine
1. Pentazocine
2. Buprenorphine
3. Naloxone
4. Nalorphine

Correct answer: 3. Naloxone

Explanation: Ans. is 'c' Naloxone T/t of choice for morphine poisoning is Naloxone (6 mg. IV) repeated every 3 min till respiration picks up) It is preferred due to no agonistic action and no respiratory depression. Nalorphine is given only when Naloxone not available